Established routes of administration of morphine include:
1. Rectal
2. IV
3. IM
4. All of these

Correct answer: 4. All of these